Transperitoneal approach to repair genitourinary fistula is used in all situations except
1. Fistula closer to ureteral orifices.
2. Con-comitant ureteric and vesicovaginal fistula.
3. Fistula located proximally in a narrow vagina.
4. Non-complicated small vesicovaginal fistula.

Correct answer: 4. Non-complicated small vesicovaginal fistula.

Explanation: Transperitoneal approach of repair is preferred in complex large fistulas.